Formation of multiple pinpoint bleeding spots on scratching the skin is characteristic of:
1. Pemphigus vulgaris
2. Lupus erythematosus
3. Psoriasis
4. Herpangina

Correct answer: 3. Psoriasis